A patient presents withArthritis, hyperpigmentation of skin and hypogonadism, likely diagnosis is -
1. Hemochromatosis
2. Ectopic ACTH secreting tumour of the lung
3. Wilson's disease
4. Rheumatoid arthritis

Correct answer: 1. Hemochromatosis